All of the following are indications for giving intravenous calcium gluconate during cardiopulmonary resuscitation, EXCEPT:
1. Hypocalcemia
2. Calcium channel blockers toxicity
3. Cardiac arrest due to hyperkalemia
4. Routinely after 1 min of cardiac arrest

Correct answer: 4. Routinely after 1 min of cardiac arrest

Explanation: Calcium gluconate is not routinely administered during cardiopulmonary resuscitation, because calcium administration may worsen post ischemic hypoperfusion. Ref: Recent Advances in Pediatric Anesthesia By Kii N. Saxena, Page 75